Lattice degeneration seen in
1. Hypermetropia
2. Anisocoria
3. Glaucoma
4. Myopia

Correct answer: 4. Myopia

Explanation: Peripheral retinal degenerations common in pathological myopia